Which of the following class specific antigenic determinants of an immunoglobulin is associated with ?
1. L-chain
2. H-chain
3. J-chain
4. Variable region

Correct answer: 2. H-chain